Which is not a deep heat therapy
1. Short wave diathermy
2. Ultrasound therapy
3. Infrared therapy
4. Microwave therapy

Correct answer: 3. Infrared therapy

Explanation: Infrared therapy Heat therapy is a form of physiotherapy used in many painful conditions eg. arthritis, sprains, muscle spasms etc. It is of 2 types depending on penetration of heat : - superficial heat therapy - Deep heat therapy Superficial heat therapy Only the skin and subcutaneous tissues are heated Superficial heating modalities do not heat deep tissues because the subcutaneous layer of fat beneath the skin surface acts as a thermal insulator and inhibits heat transfer. Superficial heating modalities include : - hot water bottle - chemical packs warm bath - paraffin wax bath - hot packs (eg. Kenny pack) - moist air cabinet - hot soaks or compresses - infrared lamp Deep heat therapy Deeper structures (including muscles) are heated In general, the transfer of heat is of three types - conduction, convection & conversion (or radiation) Whereas superficial heating modalities use all three modes of transfer of heat; deep heating modalities use only conversion or radiation method to heat the deep tissues. Deep heating modalities are a. Short wave diathermy - heat generated by high frequency alternating current using a short-wave diathermy emitter. b.Microwave diathermy - this uses electromagnetic radiation energy to heat the deep tissues c. Ultrasound therapy - uses high frequency sound energy